Exchange of trace evidence occurs, when a person comes in contact with other person. This principle is called:
1. Locard's principle
2. Quetelet's rule
3. Petty's principle
4. None of the above

Correct answer: 1. Locard's principle

Explanation: Locard's Principle of Exchange: It states that "When two objects come into contact with each other, there is always transfer of some material between them" This is helpful in crime investigations, especially in sexual offences.